In pregnancy which of the following antihypertensive drug is contraindicated?
1. Hydralazine
2. Labetotlol
3. Ace inhibitors
4. Alpha methyl dopa

Correct answer: 3. Ace inhibitors

Explanation: Ans. is 'c' i.e., Ace inhibitors